Inclusion bodies seen in progressive myoclonic epilepsy -
1. Buschino bodies
2. Lewy bodies
3. Hirano bodies
4. Lafora bodies

Correct answer: 4. Lafora bodies

Explanation: Answer- D. Lafora bodiesLafora bodies- progressive myoclonic epilepsyHirano bodies- Alzheimer diseaseBuschino bodies- lateral sclerosisLewy bodies- Parkinson's disease and Lewy body disease